"Ewing's postulates" refer to?
1. Trauma management
2. Complications resulting from trauma
3. Circulation, respiration and brain functionsd
4. Circulation, respiration and excretion

Correct answer: 2. Complications resulting from trauma

Explanation: Ewings postulates - these suggest the occurrence of tumour after infliction of trauma.1.Previous integrity of tissues should be proved2.There should be definite, adequate and recurrent trauma.3.Definite time interval between trauma and tumour4. Disease must develop at the exact site of trauma5.Nature of tumour must be proved histologically Only if the above five postulates are satisfied, only then we can say that tumour has resulted because of trauma.